Broncholithiasis is a feature of?
1. Cystic fibrosis
2. Tuberculosis
3. Pulmonary lymphangioleiomyomatosis
4. Parathyroid adenoma

Correct answer: 2. Tuberculosis

Explanation: Cystic Fibrosis cause infections, recurrent pneumonia and bronchiectasis Parathyroid adenoma will cause calcification but not in the airway It causes nephrocalcinosis. Pulmonary lymphangio leiomyomatosis Hyperplasia of smooth muscle. Commonly seen in females Depends on estrogen Present with Pneumothorax, Pleural effusion No calcifications seen TB -Lymph nodes enlarged and calcified- erosion of airways.